Which among the following is not seen in inflammatory arthritis?
1. Raised ESR
2. Morning stiffness
3. Periarticular osteoporosis
4. New bone formation

Correct answer: 4. New bone formation

Explanation: New bone formation i.e osteophyte formation is seen in non inflammatory conditions like osteoarthritis. Raised ESR, morning stiffness in and around the joints lasting for more than 30 minutes, periarticular osteoporosis are features of inflammatory arthritis. The joint space narrowing, and marginal erosions are also seen.